In which one of the following conditions the Sialography is contraindicated?
1. Ductal calculus
2. Chronic parotitis
3. Acute parotitis
4. Recurrent sialadenitis

Correct answer: 3. Acute parotitis

Explanation: Sialography (Ptyalography, sialogram) is contraindicated in acute sialadenitis. Ref: Text Book of Radiology and Imaging By Sutton, 7th Edition, Page 535